Which of the following stains is used to study fungal morphology in tissue sections
1. PAS
2. Von- kossa
3. Alizarin Red
4. Masson's Trichrome

Correct answer: 1. PAS

Explanation: A i.e PAS The periodic Acid Schiff (PAS) stain is a valuable method for the demonstration of fungal elements in tissues. Von Kossa stain and Alizarin Red are used to identify calcium, while Masson's Trichrome is used to identify collagen, muscle and fibrin.